Ototoxic drug which mainly affects vestibular component is
1. Gentamicin
2. Amikacin
3. Netilmicin
4. Kanamycin

Correct answer: 1. Gentamicin

Explanation: AminoglycosidesSite of actionDrugsSystemic aminoglycosidesStreptomycin Gentamycin Kanamycin TobramycinAmikacinSisomicinNetilmicinOral aminoglycosidesNeomycinFramycetin Newer aminoglycosidesParomomycin Ribostamycin ArbekacinBekanamycinDibekacinSpectinomycin Hygromycin B IsepamicinAstromicinVerdamicinMechanism of action They interfere with the proofreading process, causing the increased rate of error in synthesis with premature terminationAlso, there is evidence of inhibition of ribosomal translocation where the peptidyl-tRNA moves from the A-site to the P-site.They can also disrupt the integrity of bacterial cell membrane.They bind to the bacterial 30S ribosomal subunitSide effects of Aminoglycosides Hearing loss Vestibular dysfunction Amikacin, Kanamycin, Neomycin Streptomycin, Gentamicin MaximumMinimumNephrotoxicity Neomycin > Gentamicin Streptomycin Ototoxicity Amikacin ( Auditory ) , Streptomycin ( Vestibular )Netilmicin Neuromuscular blockade Neomycin > StreptomycinTobramycin (Refer: K. D. Tripathi's Essentials of Medical Pharmacology, 7th edition, pg no: 744-750)